Statistical method of calculate death rate among two population with different age groups
1. Crude death rate
2. Standardized death rate
3. Case fatality rate
4. Age specific death rate

Correct answer: 2. Standardized death rate

Explanation: Ans. is 'b' i.e., Standardized death rate Standardization (or adjustment) of rates is used to unable the valid comparison of groups that differ regarding an important health determinant (most commonly age). For example, if we want to compare the death rates of two different populations with different age composition, the crude death rate is not right yardstick because rates are only comparable if the populations upon which they are based are comparable. To remove this confounding effect of different age structure, adjustment or standardization is done. Two major approaches to standardization have been used :? Direct standardization Indirect standardization